Pellicle is a
1. Salivary protein
2. Plaque
3. Micro organisms
4. Calculus

Correct answer: 1. Salivary protein